Not an inverter of foot is
1. Flexor digitorum longus
2. Peroneus tertius
3. Tibialis posterior
4. Tibialis anterior

Correct answer: 2. Peroneus tertius

Explanation: Inverters of foot are

Tibialis anterior
Tibialis posterior
Flexor digitorum longus